Prevention of neural tube defect in the newborn is by
1. Iron
2. B6
3. B12
4. Folic acid

Correct answer: 4. Folic acid

Explanation: (Folic acid): (865 H186th edition)* Folic acid supplementation of the time of conception and in the first 12 weeks of pregnancy reduce by -70% the incidence of neural tube defects (NTDs) (Anencephaly , meningomyelocele,encephalocele and spina bifida) in the fetus.* Most of this protective effect can be achieved by taking folic acid 0.4mg daily at the time of conception* The incidence of cleft palate and have lip also can be reduced by prophylactic folic acid* NTDs also can be caused by antifolate and antiepileptic drugs